An alcoholic is brought to the Emergency OPD with the complaint of irrelevant talking. He had stopped using alcohol three days back. On examination, He is found to be disoriented to time, place and person. He also has visual illusions and hallucinations. There is no history of head injury. Most likely diagnosis is -
1. Demetia praecox
2. Delirium tremens
3. Schizophrenia
4. Korsakoff's psychosis

Correct answer: 2. Delirium tremens

Explanation: History of alcohol withdrawal with signs and symptoms of delirium suggest the diagnosis delirium tremens.